Which of the following drugs has been recently approved for treatment of prostate cancer?(REPEAT)
1. Leuprolide
2. Goserelin
3. Abarelix
4. Degarelix

Correct answer: 4. Degarelix

Explanation: Degarelix is used in men to treat advanced prostate cancer. Degarelix is a type of medicine called a gonadotropin-releasing hormone (GnRH) antagonist. It helps treat prostate cancer by lowering the amount of testosterone hormone in the blood. In some patients, testosterone will cause prostate cancer to grow larger. REFERENCE: www.mayoclinic.org